Antipsychotic drug with least extra pyramidal symptoms -
1. Pimozide
2. Thioridazone
3. Clozapine
4. Flupromazine

Correct answer: 3. Clozapine

Explanation: Ans. is *c' i.e., Clozapine o Antipsychotics with no extrapyramidal side effects clozapine, aripiprazole, quetiapine.o Amongst typical antipsychotics, thioridazone has least extrapyramial side effects.